Which of the following is an anabolic steroid ?
1. Methyltestosterone
2. Fluoxymesterone
3. Nandrolone
4. Danazole

Correct answer: 3. Nandrolone

Explanation: Ans. is 'c' i.e., Nandrolone o. Anabolic steroids are synthetic androgens with high anabolic and lower androgenic activity. o Drugs are - Nondrolone, Oxymetholone, Stanozolol, Methandienone.